Left ureter is related to -a) Quadratus lumborumb) Left gonadal vesselsc) Superior mesenteric veind) Sigmoid mesocolone) Internal iliac artery
1. abc
2. bde
3. ace
4. bce

Correct answer: 2. bde

Explanation: Left gonadal artery and sigmoid mesocolon are related to the anterior surface of the abdominal part of the left ureter.
Internal iliac artery is related to the posterior surface of pelvic part of the ureter.
Inferior mesenteric artery (not a superior mesenteric artery) is related to left ureter medially.